Which of the following drug is not an ionotropic drug
1. Amrinone
2. Isoprenaline
3. Amiodarone
4. Dopamine

Correct answer: 3. Amiodarone

Explanation: Refer kDT 7/e p 519 Examples of positive inotropic agents include: Digoxin. Berberine. Calcium. Calcium sensitisers. Levosimendan. Catecholamines. Dopamine. Dobutamine. Dopexamine. Epinephrine (adrenaline) Isoprenaline (isoproterenol) ... Angiotensin II. Eicosanoids. Prostaglandins. Phosphodiesterase inhibitors. Enoximone. Milrinone. Amrinone. Theophylline. Amiodarone is an antiarrhythmic medication used to treat and prevent a number of types of irregular heabeats. This includes ventricular tachycardia, ventricular fibrillation, and wide complex tachycardia, as well as atrial fibrillation and paroxysmal supraventricular tachycardia